A 3-year-old child presents with only deciduous canine
and molars. The child has light fine hair, light complexion
and overall appearance of an older person. The findings
suggest:
1. Cleidocranial dysostosis
2. Osteogenesis imperfecta
3. Crouzan's disease
4. Ectodermal dysplasia

Correct answer: 4. Ectodermal dysplasia